according to maastricht classification category 3 is ?
1. dead on arrival to hospital
2. resuscitation attempted with out success
3. awaiting cardiac arrest after withdrawal of support
4. cadiac arrest while brain dead

Correct answer: 3. awaiting cardiac arrest after withdrawal of support

Explanation: Category Features Alternative categories 1 Dead upon arrival, accident and emergency Uncontrolled 2 Resuscitation attempted without success, accident and emergency Uncontrolled 3 Awaiting cardiac death, intensive care Controlled 4 Cardiac arrest while brain dead, intensive care Controlled ref : bailey and love 27th ed